Tetracycline inhibits protein synthesis by?
1. Inhibiting initiation and causing misreading of mRNA
2. Binding to 30 S subunit and inhibits binding of aminoacyltRNA
3. Inhibiting peptidyltransferase activity
4. Inhibiting translocation

Correct answer: 2. Binding to 30 S subunit and inhibits binding of aminoacyltRNA

Explanation: Ans. is 'b' i.e., Binding to 30 S subunit and inhibits binding of aminoacyl tRNA Tetracycline interact with small ribosomal subunits, blocking access of aminoacyl- tRNA to the mRNA-ribosome complex.